A two year old child was planned for brain stem implant. All are indications of brain stem implant except:
1. B/L neurofibromatosis
2. Absent auditory nerves
3. Absent cochlea
4. Mondini deformity

Correct answer: 4. Mondini deformity

Explanation: In Mondini deformity the defect is at the level of cochlea, which can be corrected by cochlear implant.